Grade 4 clinically in varicose veins is characterised by all exxcept
1. Eczema
2. Lipodermatosclerosis
3. Ulceration
4. Pigmentation

Correct answer: 3. Ulceration

Explanation: Clinical grade 4 = skin changes 
→ Pigmentation
→ Eczema 
→ Lipodermatosclerosis